Zero order kinetics is independent of ?
1. Plasma concentration
2. Clearance
3. Volume of distribution
4. Half life

Correct answer: 1. Plasma concentration

Explanation: Ans. is 'a' i.e., Plasma concentration o Rate of elimination in zero order kinetics is independent of plasma concentration (see above explanation).